Last ocular muscle to be involved in Graves' disease-
1. Inferior rectus
2. Lateral rectus
3. Superior rectus
4. Inferior oblique

Correct answer: 4. Inferior oblique

Explanation: *Order of involvement (Mnemonic : IM SLO) :- Inferior rectus > medial rectus > superior rectus > Lateral rectus > obliques. Ref: Head & Neck Surgery 2nd/e p.1513